Deja vu is seen in:
1. Temporal lobe epilepsy
2. Normal person
3. Psychosis
4. All of the above

Correct answer: 4. All of the above

Explanation: Deja vu refers to the feeling that an event which is being currently experienced has also happened in the past. It can be seen in normal persons and also in certain disorders like temporal lobe epilepsy.